Which among the following is not a hormonal tumor marker?
1. b-HCG
2. Calcitonin
3. Catacholamine
4. Neuron specific enolase

Correct answer: 4. Neuron specific enolase

Explanation: Elevations in Beta-hCG are also found in patients with choriocarcinoma of the uterus, embryonal carcinomas, polyembryomas, mixed cell tumors, and, less commonly, dysgerminomas. Beta-hCG and human placental lactogen (hPL) are the most useful markers for trophoblastic disease. Calcitonin plays an important role as a tumor marker in monitoring patients with medullary carcinoma of the thyroid and in the diagnosis of multiple endocrine neoplasia type 2. Urinary and plasma catecholamines epinephrine, norepinephrine, dopamine, vanillylmandelic acid (VMA), homovanillic acid (HVA) are the tumor markers for pheochromocytoma. NSE is not a hormone. It is an enzyme. It is seen in AML.